Most common metastatic tumor in orbit in adult male is due to
1. Lung carcinoma
2. Hodgkins lymphoma
3. Neuroblastoma
4. Breast cancer

Correct answer: 1. Lung carcinoma

Explanation: Lung carcinoma is the most common cause of metastasis to orbit in adult Most common orbital tumor in adults Primary Benign: Cavernous hemangioma Primary Malignant: Lymphoma Metastatic Tumor: Carcinoma Lung (male) , Carcinoma Breast (Female)